Epithelium of cornea is
1. Stratified squamous non Keratinizing
2. Stratified squamous Keratinizing
3. Collumnar Keratinized
4. Collumnar non Keratinized

Correct answer: 1. Stratified squamous non Keratinizing

Explanation: A. i.e. Stratified Squamous non Keratinizing